Common pathological changes seen in kidney in benign hypertension are:
1. Fibronoid necrosis
2. Microaneurysm
3. Hyaline arteriosclerosis
4. Thining of walls

Correct answer: 3. Hyaline arteriosclerosis

Explanation: Answer is C (Hyaline Arteriosclerosis): Benign hypertension is characterized by hyaline arteriosclerosis.